Neuroleptics cause hyperprolactinemia by blocing the effect of following on pituitary lactotropes-
1. Dopamine
2. Glycine
3. Acetylcholine
4. Serotonin

Correct answer: 1. Dopamine

Explanation: Ans. is 'a' i.e., Dopamine * Neuroleptics consistently increase prolactin release by blocking the inhibitory action of DA on pituitary lactotropes. This may result in galactorrhoea and gynaecomastia.